In the Clarke's level of tumor invasion of malignant melanoma level 3 refers to:
1. All tumor cells above basement membrane
2. Invasion into reticular dermis
3. Invasion into loose connective tissue of papillary dermis
4. Tumors cell at junction of papillary and reticular dermis

Correct answer: 4. Tumors cell at junction of papillary and reticular dermis

Explanation: Clark's level ( on the basis of depth of invasion): EPIRS 1. Melanoma restricting to epidermis & appendages 2. Invading Papillary dermis without filling it 3. Reach Interface of papillary & reticular dermis 4. Invading reticular dermis 5. Invading subcutaneous tissue.